True about anthropoid pelvis, sacrosciatic notch is :
1. Wide and shallow
2. Wide and deep
3. Narrow and shallow
4. Narrow and deep

Correct answer: 1. Wide and shallow

Explanation: Wide and shallow